The UK refinement of Hannifin and Rajka criteria is used in the diagnosis of ____:
1. Atopic dermatitis
2. Nummular Eczema
3. Eczema Herpeticum
4. Contact dermatitis

Correct answer: 1. Atopic dermatitis

Explanation: Ans. A. Atopic dermatitis* The UK refinement of Hannifin and Rajka criteria is used in the diagnosis of Atopic dermatitis.* The original Hannifin and Rajka criteria requires that patients have at least 3 of the 4 major criteria and 3 of the 23 minor criteria.* Consequently, Williams et al coordinated a UK working party to attempt to refine the criteria of Hannifin and Rajka into a repeatable and validated set of diagnostic criteria for atopic eczema.UK refinement of Hannifin & Rajka's diagnostic criteria of Atopic Dermatitis (Eczema)In order to qualify as a case of atopic dermatitis (eczema) with the UK diagnostic criteria, the child must have an itchy skin condition (or parental report of scratching or rubbing in a child).Plus, three or more of the following:* Onset below age of 2 years (not used if child is under 4 years)* History of skin crease involvement (including cheeks in children under 10 years)* History of a generally dry skin* Personal history of other atopic disease (or history of any atopic disease in a first-degree relative in children under 4 years)* Visible flexural dermatitis (or dermatitis of cheeks/forehead and outer limbs in children under 4 years)